True about nasal myiasis is?
1. Commonly associated with ethmoidal polyps
2. Results from the ova of fly chrysomia
3. Treated by nasal saline instillation
4. Cannot cause death of the patient

Correct answer: 2. Results from the ova of fly chrysomia

Explanation: In nasal myiasis, initially, the patient presents with epistaxis. On the fourth day, maggots crawl out of the nose and foul smell surrounds him. Can cause extensive destruction to the nose, sinuses, soft tissue of the face, palate and eyeball. Fistulae may form in the palate or around the nose. Death may occur from meningitis. Saline installation is only helpful in the removal of the slough, crusts, and dead maggots. Chloroform water and oil can be used instead. Ref - PL DHINGRA diseases of ear nose and throat, 6th edition, page no 161